All the following are true of DeQuervan's Thyroiditis except
1. Pain
2. Increased ESR
3. Increased radioactive iodine uptake
4. Fever

Correct answer: 3. Increased radioactive iodine uptake

Explanation: Answer is C (Increased radioactive Iodine uptake) : 'DeQuervaitt's Thyroiditis is characterized by a depressed radioactive iodine uptake'. DeQueryain's Thy roiditis, Granulomatous Thyroiditis or Subacute Thyroiditis or Giant cell Thyroiditis: Origin / * It is viral in origin.Q Symptoms usually follow an upper respiratory tract infection. * Pain over thyroid Q or pain referred to lower jaw, ear, occiput (stretching of thyroid capsule) Etiology Clinical presentation * Fever 2,malaise, asthenia * Firm, irregular enlargement of one or both thyroid lobes Characteristic * High Erythrocyte sedimentation rate (ESR) Laboratory * Depressed RAIU i.e. decreased radio iodine uptake test Finding * Early: patients may be mildly thyrotoxic due to leakage of hormone from gland: |T3 & T4 & |TSH Later : patients may be hypothyroid due to depletion of hormone from gland : |T3 & T4 & |TSH Histology * Multinucleated Giant cells Q are seen - Robbins Prognosis * Disorder may smoulder fir months but eventually subsides with return of normal function.